A 16 years old girl with acute bleeding per vaginal was presented to the clinic. What is the immediate management?
1. Uterine ablation
2. Uterine artery block
3. Progesterone
4. Hysteroscopy examination

Correct answer: 3. Progesterone

Explanation: Immediate management in above case is Progesterone Girl in above case is having abnormal uterine bleeding In most cases, the abnormal bleeding is due to anovulation and immaturity of the hypothalamic-pituitary-ovarian feedback mechanisms. Management of Abnormal uterine bleeding 1. Medical management is the first line treatment, 2. If medical therapy fails or is contraindicated, consider Mirena IUCD. 3. If Mirena fails or side effects develop, go for ablative techniques.